All are known to cause conjunctival xerosis except:
1. Trachoma
2. Membranous conjunctivitis
3. Angular conjunctivitis
4. Ocular pemphigoid

Correct answer: 3. Angular conjunctivitis

Explanation: Ans. Angular conjunctivitis